Which of the following helps in protein folding
1. Proteases
2. Proteosomes
3. Histones
4. Chaperones

Correct answer: 4. Chaperones

Explanation: Ref. Textbook of Biochemistry for Medical Students. Page. 230
 
Straight forward easy question.
Chaperones

Protein folding is an essential step in the fi al synthesis of any protein. ere is a class of specialized proteins, chaperones, whose function is to assist in this process.
Molecular chaperones function in many cell compartments, including the endoplasmic reticulum, where extensive protein synthesis occurs.
Failure to fold correctly usually results in eventual destruction of the protein.